Milroy's disease is an example of
1. Primary lymphedema
2. Secondary lymphedema
3. Both
4. None

Correct answer: 1. Primary lymphedema

Explanation: Ans. (a) Primary lymphedema(Ref: Harrison 17th ed table 243-3)Causes of lymphedemaPrimarySecondary*. Congenital (includes Milroy's disease)*. Lymphedema praecox (includes Meige's disease)*. Lymphedema tarda*. Recurrent lymphangitis*. Tuberculosis*. Surgery*. Filariasis*. Neoplasm*. Radiation therapy